pH = 7.30, pCO2 = 38, HCO3 = 18 signifies:
1. Metabolic acidosis with compensatory respiratory alkalosis
2. Respiratory acidosis with compensatory metabolic alkalosis
3. Respiratory alkalosis with compensatory metabolic acidosis
4. Metabolic acidosis with respiratory acidosis

Correct answer: 4. Metabolic acidosis with respiratory acidosis

Explanation: * Since pH is less, and HCO3 is less it implies metabolic acidosis. * Now for compensation pCO2= HCO3+15 = 18 + 15 = 33. * The value predicted is not matching with given pCO2 of 38 mm Hg. * It implies compensation is not there and it is a Mixed disorder * Conclusion metabolic acidosis with respiratory acidosis